In multiple pregnancy, foetal reduction is done by:
1. KCL
2. Mifepristone
3. PGF2-alpha
4. Methotrexate

Correct answer: 1. KCL

Explanation: Multifetal pregnancy reduction is done in high order pregnancies (> 4 fetus) to minimise complications like: